According to the European Laryngological Society, Subligamental cordectomy is classified as -
1. Type I
2. Type II
3. Type III
4. Type IV

Correct answer: 2. Type II